Pseudopapillitis is seen in
1. Myopia
2. Hypermteropia
3. Presbyopia
4. Pathological myopia

Correct answer: 2. Hypermteropia

Explanation: Pseudopapillitis = small optic disc with ill defined margins.